The study of how variation in Human Genome affect the response to medication is known as
1. Pharmacogenomics
2. Pharmacokinetics
3. Pharmacotherapeutics
4. Pharmacovigilance

Correct answer: 1. Pharmacogenomics

Explanation: the branch of genetics concerned with determining the likely response of an individual to therapeutic drugs. Ref-KDT 7/e p65